Amyl nitrite is used as antidote in which poisoning?
1. Cyanide
2. Cholinesterase
3. Benzodiazepine
4. Barbiturate

Correct answer: 1. Cyanide

Explanation: Ans. is 'a' i.e., Cyanide